Hematuria, RBC casts and proteinuria are suggestive of:
1. Nephritic syndrome
2. Renal cell carcinoma
3. Acute nephritic syndrome
4. Chronic renal failure

Correct answer: 3. Acute nephritic syndrome

Explanation: Ans. C i.e. Acute nephritic syndrome